HIV renal specific nephropathy is:
1. Focal Segmental Glomerulosclerosis
2. Membranoproliferative Glomerulonephritis
3. Mesangioproliferative Glomerulonephritis
4. Membranous Glomerulonephritis

Correct answer: 1. Focal Segmental Glomerulosclerosis

Explanation: Answer is A (Focal Segmental Glomerulosclerosis): The most characteristic glomerulopathy in HIV is Focal Segmental Glomerulosclerosis (FSGS) which typically reveals collapse of the glomerular capillary tuft called collapsing glomerulopathy. HIV associated Nephropathy is a severe rapidly progressive collapsing form of FSGS.